At what value of one hour glucose challenge test will you recommend a standard glucose tolerance test-
1. 120 mg\/dl
2. 140 mg\/dl
3. 150 mg\/dl
4. 160 mg\/dl

Correct answer: 2. 140 mg\/dl

Explanation: Answer is option 2 - 140 mg/dl A serum blood glucose value greater than 140mg/dl at one hour in an one hour glucose challenge test (O' Sullivan test) is termed suspicious and requires a formal/standard glucose tolerance test. Done to detect gestational diabetes Ref manual for laboratory and diagnostic test 8/350